Femoral sheath contains all the following EXCEPT:
1. Femoral artery
2. Femoral vein
3. Femoral nerve
4. Lymph node

Correct answer: 3. Femoral nerve

Explanation: Ans. c (Femoral nerve) . (Ref. BD Chaurasia, Anatomy, 2nd vol., 3rd ed., 44)FEMORAL SHEATH# It is funnel shaped asymmetrical sleeve of fascia enclosing 3^1 cm of femoral vessels.# Its contents are:- Lateral (arterial) compartment--femoral artery and femoral branch of genitofemoral nerve- Intermediate (venous) compartment--femoral vein, and- Medial compartment (femoral canal)--which contain lymph node of Cloquet/Rosenmuller, lymphatics and areolar tissue. This node drains glans in male and clitoris in female.# Relation from lateral to medial - NAVEL